Hindmilk is richer in
1. Carbohydrate
2. Protein
3. Fat
4. Minerals

Correct answer: 3. Fat

Explanation: Hindmilk comes later towards the end of the feed and is richer in fat that provides more energy and gives a sense of satiety.Ref: Page 153; Ghai Essential Pediatrics; 8th edition